Which structure is present in intersegmental area of lungs
1. Bronchial artery
2. Bronchial vein
3. Pulmonary artery
4. Pulmonary vein

Correct answer: 4. Pulmonary vein